Machine used noninvasively to monitor an external chest compression during cardiopulmonary resuscitation is
1. Zoll depth synchronizer
2. Zoll strength sensor
3. Zoll pAO2 monitor
4. Zoll AED -plus automatic external defibrillator

Correct answer: 4. Zoll AED -plus automatic external defibrillator